True about prions are all except -
1. Cannot be inherited
2. Can occur sporadically
3. Can be transmitted corneal transplant
4. Can be transmitted human growth hormone preparation

Correct answer: 1. Cannot be inherited

Explanation: Familial forms of prion disease are inherited in an autosomal dominant pattern, which means one copy of the altered PRNP gene in each cell is sufficient to cause the disorder. In most cases, an affected person inherits the altered gene from one affected parent.